Autonomous zone of sensory supply by radial nerve
1. 1st dorsal web space
2. Tip of index finger
3. Tip of thumb
4. Tip of little finger

Correct answer: 1. 1st dorsal web space

Explanation: Autonomous zone for radial nerve is 1st dorsal web space Refer Campbell 12th/e p 3100